Which of the following vaccines has maximum efficacy after a single dose –
1. Tetanus toxoid
2. DPT
3. Measles
4. Typhoid

Correct answer: 3. Measles